A child of 1 year presents with muscle wasting, loss of subcutaneous fat with no signs of edema and weight below 60% of WHO standard. The mother gives history of not giving enough proteins and other nutrients to the child after six months of age. The likely diagnosis is
1. Kwashiorkor
2. Marasmus
3. Marasmus & kwashiorkor
4. Under nutrition

Correct answer: 2. Marasmus